Gallamine is excreted mainly through?
1. Bile
2. Liver
3. Kidney
4. Pseudocholinesterase

Correct answer: 3. Kidney

Explanation: Kidney REF: Lee synopsis of anesthesia 12th e p. 215 See previous question for explanation